A pregnant lady at 32 weeks of gestation presents with a BP of 160/110 mmHg, proteinuria with retinal haemorrhage. What is the definitive treatment of choice in this patient?
1. Ritodrine
2. Nifedipine
3. Magnesium sulphates
4. Termination of pregnancy

Correct answer: 4. Termination of pregnancy

Explanation: This patient is showing features of severe hypertension which is an indication for delivery. Induction of labour is the definitive treatment of choice which is most preferable. In order to prevent the onset of seizures magnesium sulfate prophylaxis should be given. Features of severe pre eclampsia are: BP > 160/110 >- 3 + proteinuria Presence of headache, visual disturbances, upper abdominal pain, oliguria and convulsion Elevated levels of serum creatinine, serum transaminase or presence of thrombocytopenia Fetal growth restriction Pulmonary edema Ref: Anantharaman P., Schmidt R.J., Holley J.L. (2009). Chapter 55. Pregnancy & Renal Disease. Cunningham F.G., Leveno K.J., Bloom S.L., Hauth J.C., Rouse D.J., Spong C.Y. (2010). Chapter 34.